Organism that does NOT need vector for transmission:
1. Rickettsia prowazekii
2. Rickettsia rickettsii
3. Coxiella burnetii
4. Borrelia recurrentis

Correct answer: 3. Coxiella burnetii

Explanation: Coxiella burnetii causes Q fever. Q fever transmission differs from other rickettsial infection in that there is no arthropod involved in its transmission to man. Transmission results from inhalation, ingestion, abrasion or directly in conjunctiva. Ref: Park 21st edition, page 276.